A double headed monster is known as a :
1. Diplopagus
2. Dicephalus
3. Craniopagus
4. Heteropagus

Correct answer: 2. Dicephalus

Explanation: Dicephalus